Type-II lepra reaction is found in :
1. BB(Borderline)
2. LL(Lepromatous)
3. BT (Borderline tuberculoid)
4. TT(Tuberculoid)

Correct answer: 2. LL(Lepromatous)

Explanation: During the course of leprosy,immunological mediated episodes of acute or subacute inflammation known as lepra reaction occur. It is usually diagnosed by clinical examination only. There are two types of reaction: Reversal reaction (Type 1): Delayed hypersensitivity reaction Occurs in both Paucibacillary and Multibacillary cases in unstable types like BT,BB,BL Erythema nodosum leprosum (ENL or Type 2): Antigen antibody reaction Seen in MB cases only(BL and LL Type) Ref :Park textbook of SPM Page 298